Definitive diagnosis of acute pancreatitis is done by-a) Amylaseb) Lipasec) Increased Cad) Hyperglycemia
1. ab
2. a
3. ad
4. bc

Correct answer: 1. ab